Corneal endothelial cell count is done by –
1. Specular microscopy
2. Keratometry
3. Gonioscopy
4. Slit lamp

Correct answer: 1. Specular microscopy

Explanation: Specular microcopy is used for corneal endothelial density.